Statistical method of calculate death rate among two population with different age groups-
1. Crude death rate
2. Standardized death rate
3. Case fatality rate
4. Age specific death rate

Correct answer: 2. Standardized death rate